Sucheta, a 29 year old nulliparous women complains of severe menorrhagia and lower abdominal pain since 3 months. On examination there was a 14 weeks size uterus with fundal fibroid. The treatment of choice is :
1. Myomectomy
2. GnRH analogues
3. Hystrectomy
4. Wait and watch

Correct answer: 1. Myomectomy

Explanation: Ans. is a i.e. Myomectomy First lets see whether we would like to go for medical management or surgical intervention. The patient is presenting with : Severe menorrhagiadeg Chronic lower abdomen paindeg Size of fihroici = 14 weekca These 3 indications are strong enough for surgical intervention. Other indications for surgical Management are : Acute pain in abdomen as in Torsion of pedunculated fibroid or prolapsing submucosal fibroiddeg Pressure symptoms like constipationdeg Dysuriadeg Infeilty (when other causes of infertility have been ruled out) and habitual abortion caused by submucous fibroid.deg Now comes the question - whether Myomectomy or hysterectomy should be done. Indication of Myomectomy : Myomectomy is specifically indicated in an infeiie woman or woman desirous of bearing child and wishing to retain her uterus. Since, our patient, Sucheta is just 29 years and Nulliparous - Myomectomy should be done.